Ideal bed occupancy rate in hospital for good quality care is:
1. 55%
2. 70% and over
3. 85%
4. 100%

Correct answer: 3. 85%

Explanation: Ideal bed occupancy rate in hospital for good quality care is said to be 80 to 85%. 100% occupancy means over utilization which leads to fall in quality of care. Ref: Textbook of community medicine, S. Lal, 3rd edition pg: 686.